All of the following statements about hereditary hemochromatosis are true Except
1. Arthropathy involving small joints of hands may be seen
2. Skin pigmentation is a frequent presentation
3. Desferroxamine is the treatment of choice
4. Hypogonadism may be seen

Correct answer: 3. Desferroxamine is the treatment of choice

Explanation: Answer is C (Desferroxamine is the treatment of choice): The therapy of hematochromatosis involves removal of excess body iron Iron removal is best acieved by periodic phlebotomies which is the treatment of choice for Hematochromosis. Chelating agents like desferoxamine are less effective and indicated when anemia or hypoproteinemia is severe enough to preclude phlebotomy (Harrison. Chelatingagents are not the treatment of choice for Hematochromatosis.